True about Apoptosis are all except?
1. Inflammation is present
2. Chromosomal breakage
3. Clumping of chromatin
4. Cell shrinkage

Correct answer: 1. Inflammation is present

Explanation: Ans. (a) Inflammation is presentRef: Robbin's pathology 9th ed. /52-55Since in apoptosis the dead cell is rapidly cleared, before its contents have leaked out, therefore cell death by this pathway does not elicit an inflammatory reaction in the host.